A patient complaints of dysphagia, bad breath with regurgitation of food he had three day ago. Most likely cause is:
1. Cancer esophagus
2. Zenker's diverticulum
3. Corrosive esophagus
4. DES

Correct answer: 2. Zenker's diverticulum

Explanation: Ans. (b) Zenker diverticulumRef Sabiston 20th Edition, Page 1022* Zenker's Diverticulum: Most common symptom is dysphagia* It is also associated with Halitosis and Regurgitation.* Due to stagnation of food in the diverticulum patient may regurgitate after long period.* Treatment is Diverticulectomy or Dohlman operation